Male breast carcinoma is usually associated with
1. BRCA1
2. BRCA2
3. STK1
4. STK2

Correct answer: 2. BRCA2